Following a myocardial infarct, a 40-year-old man is being treated prophylactically with propranolol. You would be concerned about the use of this drug if the patient also had what comorbid condition
1. Glaucoma
2. Essential tremor
3. Diabetes
4. Supraventricular tachycardia

Correct answer: 3. Diabetes

Explanation: Metabolic actions:- Propranolol inhibits glycogenolysis in heart, skeletal muscles and in liver, which occurs due to Adr release during hypoglycaemia--recovery from insulin action is delayed. Warning signs of hypoglycaemia mediated through sympathetic stimulation (tachycardia, tremor) are suppressed in patients taking beta blockers like propranolol, so it should be cautiously used in patients with diabetes. Ref:- kd tripathi; pg num:-145,146